Warfarin mechanism of action ?
1. Chelating Ca
2. Inhibiting antithrombin III
3. Inhibiting Vitamin K dependent carboxylation
4. Inhibiting thrombin

Correct answer: 3. Inhibiting Vitamin K dependent carboxylation

Explanation: Ans. is 'c' i.e., Inhibiting Vitamin K dependent carboxylation Warfarin inhibits vitamin K dependent carboxylation of clotting factors by inhibiting the enzyme Vitamin K epoxide reductase.